Which cells are not present in cerebral cortex?
1. Purkinje
2. Stellate
3. Cajal
4. Pyramidal

Correct answer: 1. Purkinje